Both hepatic and renal failures can be
1. CCI4
2. Arsenic
3. Copper sulfate
4. All

Correct answer: 4. All

Explanation: D i.e. All Both hepatic and renal failure can be caused by Paracetamol, Carbon tetrachloride, Arsenic, CuSO4, & Mushroom poisoningQ